Congenital dacrocystitis, the block is at?
1. Lacrimal calnaliculi
2. Nasolacrimal duct
3. Punctum
4. None

Correct answer: 2. Nasolacrimal duct

Explanation: Ans. is 'b' i.e., Nasolacrimal duct Congenital dacryocystitis (Dacryocvstitis neonatorum) It is the inflammation of lacrimal sac in the newborn. It is due to congenital blockage of nasolacrimal duct. Congenital dacryocystitis usually presents as a mild grade chronic inflammation. It is characterized by :? Epiphora develops after seven days of birth followed by mucopurulent discharge. Regurgitation of mucopurulent discharge on pressure over the sac area, i.e.,positive regurgitation test Swelling over the sac area Treatment includes :? Massage over lacrimal sac with topical antibiotics:- Cures obstruction in about 90% of infants spontaneous recanalization of obstructed nasolacrimal duct can occur upto 9 months. Lacrimal syringing:- Syringing with normal saline and antibiotic solution is performed if the condition is not cured up to the age of 9-12 months. Probing of nasolacrimal duct:- It is performed if the condition is not cured by 1-12 months Intubation with silicon tube Dacryocystorhinostomy:- It is performed if the child is brought very late or above described procedures fail.